Lab values: pH 7.56, paCO2- 20, HCO3- 20 .Interpret?
1. Respiratory alkalosis, uncompensated
2. Respiratory alkalosis, compensated
3. Respiratory alkalosis, partially compensated
4. Metabolic alkalosis, partially compensated

Correct answer: 3. Respiratory alkalosis, partially compensated

Explanation: pH - 7.56 (Alkaline) PaCO2 - 20 (low) HCO3 - 20 (low) * So this is Respiratory alkalosis * PaCO2 | by 20 mm Hg * So HCO3 to be | by 4x2=8 * HCO3 to be b/w (14 -18) * HCO3 in question 20 & pH-alkaline So respiratory alkalosis but partially compensated